Characteristic radiological feature of fibrous dysplasia-
1. Thickened bone matrix
2. Cortical erosion
3. Ground glass appearance
4. Bone enlargement

Correct answer: 3. Ground glass appearance

Explanation: Fibrous Dysplasia (FD) Asymptomatic, self-limiting developmental regional alteration of bone in which the normal architecture is replaced by fibrous tissue and nonfunctional trabeculae-like osseous tissue. It is self-limiting (thus it is not a true neoplasm) * Represents a group of disorders with variety of clinical patterns * Mutation in GNAS 1 gene Clinical forms of fibrous dysplasia of the jaws * Monostotic: localized to a single bone Juvenile and aggressive juvenile Adult * Polystotic: involves several bones Craniofacial McCune-Albright syndrome Jaffe syndrome ref " maheswari 9th ed